Ipratropium bromide is contraindicated in:
1. Asthma
2. Urinary retention
3. Hypertension
4. Peptic ulcer

Correct answer: 2. Urinary retention

Explanation: Ipratropium bromide is an anticholinergic agent which usually promote urinary retention and hence are contraindicated in cases of urinary retention. Although Ipratropium bromide is poorly absorbed into the circulation and its systemic effect (including urinary retention) are not prominent, it should still not be used when urinary retention takes place. Whereas Ipratropium bromide is indicated in cases of Bronchial Asthma, Peptic Ulcer and, Hypertension. Ref: KDT, 6th Edition, Pages 107-110 ; Essentials of Medical Pharmacology By K D Tripathi, 4th Edition, Pages 97, 205